Tardive dyskinesia is least commonly associated with which of the following drugs?
1. Thioridazine
2. Metoclopromide
3. Thiothixene
4. Clozapine

Correct answer: 4. Clozapine

Explanation: Ans. is 'd' i.e., Clozapine * Clozapine is an atypical antipsychotic while others are typical traditional antipsychotic drugs; thus tardive dyskinesia is least commonly associated with clozapine, amongst the options given.